According to WHO , blindness is defined as a visual acuity of the better eye, less than -
1. Jun-60
2. May-60
3. Apr-60
4. Mar-60

Correct answer: 4. Mar-60

Explanation: WHO defines blindness if the visual acuity is less than 3/60. Reference:Park's textbook of preventive and social medicine,K.Park,23rd edition,page no:401.